A 32-week baby is born to a mother with eclampsia, who was given IV magnesium sulphate. The baby was resuscitated and transferred to the NICU. 12 hours later, the baby showed hypotonia, lethargy, constricted pupils and two episodes of seizures. The staging of HIE is:
1. 1
2. 2
3. 3
4. There is no HIE

Correct answer: 2. 2

Explanation: Ans. b. 2